Which of the following drug is least effective luminal amoebicide
1. Metronidazole
2. Diloxanide furoate
3. Iodoquinol
4. Paromomcin

Correct answer: 1. Metronidazole

Explanation: Ref-KDT 6/e p798,799 Metronidazole is least effective luminal amoebicide because it is almost completely observed in small intestine and little drug is available to act in the colon